Which of the following statement is false regarding mebendazole?
1. Safe in pregnancy
2. Broad spectrum antihelmenthic
3. It is effective against egg and adults
4. It act on cytoplasmic microtubules

Correct answer: 1. Safe in pregnancy

Explanation: Mebendazole is a benzimidazole derivative with antihelmintic effect. It causes degeneration of parasite's cytoplasmic microtubules and thereby selectively and irreversibly blocks glucose uptake in susceptible adult intestine-dwelling helminths and their tissue-dwelling larvae. Mebendazole has shown embryotoxic and teratogenic activity. It's contraindicated in pregnancy as with the case albendazole.